All of the following are related to facial nerve except:
1. Maxillary processes
2. Posterior belly of digastric muscle
3. Stylomastoid foramen
4. Parotid gland

Correct answer: 1. Maxillary processes

Explanation: Ans: A i.e. Maxillary processesThree processes of maxilla are:i) The frontal process, which is directed upwards,ii) The zygomatic process, which articulates with zygomatic bone andiii) The alveolar process, which bears socket for upper teethThe digastric branch of facial nerve is short and supplies posterior belly of digastricThe facial nerve leaves the skull by passing through the stylomastoid foramenBehind the neck of the mandible, facial nerve divides into its 5 terminal branches which emerge along the anterior border of parotid glandAs such, no relation of facial nerve with maxillary process has been mentioned